In lymphoplasmacytoid lymphoma which of the following monoclonal immunoglobulin is seen ?
1. IgA
2. IgD
3. IgG
4. IgM

Correct answer: 4. IgM

Explanation: Waldenstrom macroglobulinaemia is a low grade lymphoplasmacytoid lymphoma associated with an Ig M paraprotein causing clinical features of hyperviscosity syndrome.Reference:Davidson's principles & practice of medicine 22nd edition pg no 1045